Drug causing ocular hypotension with apnea in an infant is
1. Latanoprost
2. Brimonidine
3. Timolol
4. Acetazolamide

Correct answer: 2. Brimonidine

Explanation: Brimonidine lowers IOP and causes CNS depression in new born babies and can result in apnea, so it is contraindicated in such patients. Ocular adverse effects of anti-glaucoma drugs DRUG ADVERSE EFFECT Miotics (Pilocarpine) Cataract Stenosis of nasolacrimal system PGF2 analogs (Latanoprost) Heterochromia iridis, Growth of eyelashes, Cystoid Macular Edema Apraclonidine Lid retraction Brimonidine CNS depression and apnea in newborn Adrenaline Conjunctival pigmentation